Intercalated disc is characteristic of:
1. Comp cyclone
2. Cardiac muscle
3. Skeletal muscle
4. Hyaline cartilage

Correct answer: 2. Cardiac muscle

Explanation: Ans. B. cardiac muscleIntercalated discs are microscopic identifying features of cardiac muscle. Cardiac muscle consists of individual heart muscle cells (cardiomyocytes) connected by intercalated discs to work as a single functional organ or syncytium. Intercalated discs support synchronized contraction of cardiac tissue. They occur at the Z line of the sarcomere and can be visualized easily when observing a longitudinal section of the tissue.